During disaster management the following condition would be classified under international code green signal
1. High priority treatment
2. Medium priority treatment
3. Ambulatory patient
4. Dead patients

Correct answer: 3. Ambulatory patient